"Egg on side appearance" is seen in
1. Fallot's tetralogy
2. Transposition of great vessels
3. Ebstein's anomaly
4. Ventricular septal defect

Correct answer: 2. Transposition of great vessels

Explanation: (Transposition of great vessels) (413- Ghai 6th) (414-Ghai 7th)TGA - Cardiac silhouette has an "egg on side" appearance the right upper lung field appear more plethroic than other areas, Thymic shadow is absent* TOF - The absence of main pulmonary artery segment gives it the shape - "Cor-en Sabot" (Boot- shaped)* Ebstein anomaly - Cardiomegaly due to right atrial and right ventricular enlargementsTotal anomalous Pulmonary venous connection (TAPVC) -* "Snowman" or figure of 8" configuration* Ground glass appearance* "Sitting -duck" heart - Persistent truncus arteriosus* The "Great Hilar Dance" on fluoroscopy - ASD* "Stag - antler" or "Hands up sign" - CCF